The following drug is effective in treatment of ptyriasis versicolor -
1. Ketoconazole
2. Metronidazole
3. Griseofulvin
4. Chloroquine

Correct answer: 1. Ketoconazole

Explanation: Ans. is 'a' i.e., Ketoconazole Pityriasis versicolor (Tinea versicolor!o Tinea versicolor is a misnomer as it is not caused by dermatophyte; Pityriasis versicolor is more appropriate term. It is caused by a nondermatophyte fungus called Pityrosporum ovale (Malasezia furfur). It usually affects young adults.Clinical featureso There are multiple small scaly hypopigmented macules (macules may be hyperpigmented also). Scaling is furfuraceous or rice powder like. Macules start around the hair follicles and then merge with each other to form large areas. Affects trunk and shoulders (mainly chest and back). There may be loosening of scales with finger nails - Coupled onle or stroke of nail. Lesions are recurrent in nature (may reappear after treatment).Diagnosis of P.versicoloro Examination of scales in 10% KOH shows short hyphae and round spores (Sphagetti and meatball appearance). Wood's lamp shows apple green fluorescence (blue-green fluorescence). Skin surface biopsy - A cyanoacrylate adhesive (crazy glue) is used to remove the layer of stratum comeum on glass slide and then stained with PAS reagent.Treatment of P.versicolorSystemic agents : - Systemic azoles provide a convenient therapeutic option. Drugs used are ketoconazole, Fluconazole or intraconazole.Topical antifungals :- Topical antifungals used are : -Azoles - Clotrimazole, econazole, Miconazole, Ketoconazole.Others - Selenium Sulfide, Sodium thiosulphate, Whitfield's ointment (3% salicylic acid + 6% Benzoic acid).